Which of the following is Insulin dependent glucose transporter?
1. GLUT-1
2. GLUT-5
3. GLUT-3
4. GLUT-4

Correct answer: 4. GLUT-4

Explanation: GLUT-4 is insulin dependent glucose transporter. It is seen in Heart.
Skeletal muscle, adipose tissue.